Smoking predisposes to carcinoma of  a) Bladder  b) Ovary  c) Buccal mucosa  d) Breast  e) Stomach
1. ace
2. acd
3. abd
4. ac

Correct answer: 1. ace